An 8 year old has 1st molar in a cusp-to-cusp relation. The treatment is:
1. Fixed appliance
2. Removable appliance
3. Continuous recall and observe
4. None of the above

Correct answer: 3. Continuous recall and observe

Explanation: When the deciduous second molars are in a fIush terminal plane, the permanent first molar erupts initially into a cusp-to-cusp relationship, which later transforms into a Class I molar relation using the primate spaces.
Later, cusp-to-cusp relationship of the permanent first molar can be converted to a Class I relationship by the mesial shift of the permanent first molar following exfoliation of the primary molar and thus making use of the Leeway space (late mesial shift).